In co-arctation of aorta of the post -ductal type, all of the following blood vessels take part in forming the collaterals execpt:
1. Axillary artery
2. Posterior intercostal artery
3. Suprascapular artery
4. Veebrall artery

Correct answer: 4. Veebrall artery

Explanation: D i.e. Vertebral artery